Long term use of lithium causes -
1. Hypopituitarism
2. Diabetes mellitus
3. Hypothyroidism
4. Hyperthyroidism

Correct answer: 3. Hypothyroidism

Explanation: Ans. is 'c' i.e., Hypothyroidism o Lithium can cause hypokalemia.Side effects of lithium1) Neurological: - Tremor is the commonest side effect of lithium. Other CNS side effects are giddiness, ataxia, motor incordination, hyperreflexia, mental confusion, nystagmus.2) Renal: - Nephrogenic diabetes insipidus with polyuria & polydipsia. Amiloride is the DOC for Lithium induced nephrogenic DI.3) Cardiovascular: - Effects are similar to hypokalemia which causes arrhythmia. Most common ECG change is T wave depression.4) Endocrine: - Goitre, hypothyroidism.5) GIT: - Nausea, vomiting, diarrhoea, metallic test, abdominal pain.6) Dermatological: - Acneiform eruptions, papular eruption, exacerbation of psoriasis.7) Teratogenicity: - Ebstein's anomaly in fetus.